Which of the following bur is used in the preparation of cavity restored with porcelain fused to metal?
1. Carbide bur
2. Diamond bur
3. Stainless steel bur
4. Diamond bur for porcelain and carbide bur for metal

Correct answer: 4. Diamond bur for porcelain and carbide bur for metal